Bone scan in multiple myeloma shows –
1. Hot spot
2. Cold spot
3. Diffusely increased uptake
4. Diffusely decreased uptake

Correct answer: 2. Cold spot

Explanation: There is no compensatory osteoblastic activity in multiple myeloma, therefore lesions appear as cold spot on bone scan.